Pancreatitis may be seen with all of the following antiretroviral agent except:
1. Lamivudine
2. Stavudine
3. Zidovudine
4. Didanosine

Correct answer: 3. Zidovudine

Explanation: Ans. C: ZidovudineSide effects of didanosine include upset stomach and diarrhea. It can also cause painful neuropathy and pancreatitis. Pancreatitis is a serious, potentially life-threatening complication that is more likely to develop in patients who have advanced HIV infection.Main side effects of stavudine are severe peripheral neuropathy; lipodystrophy; and, rarely, pancreatitis. Neuropathy, which can be irreversible, occurs as a side effect in as many as one-third of all patients with advanced HIV/ AIDS. Lamivudine is generally well tolerated-pancreatitis and neuropathy are rare. Hematological toxicity does not occur. Zidovudine side effects include fatigue, nausea, and headache. AZT is sometimes associated with a decrease in the number of red blood cells (anemia), neutropenia, lactic acidosis and prolonged use can lead to myopathy.